A typical example of an immunologically mediated collagen, connective tissue disorder:
1. Pemphigus
2. Bullous pemphigus
3. Lupus erythematous
4. Lichen planus

Correct answer: 3. Lupus erythematous

Explanation: Systemic Lupus Erythematosus is a multisystem autoimmune disease characterised by autoantibodies, immune complex formation and immune dysregulation resulting in damage to kidney, skin, blood vessels, CNS.